Patient on typical antipychotic develops restlessness typically of the lower limbs. Drug to treat this side effect is-
1. Propranolol
2. Trihexiphenoydol
3. Quetiapine
4. Datrolene

Correct answer: 1. Propranolol

Explanation: Ans. is 'a' i.e., Propranolol o This side effect is akathasia - Restlessness, feeling of discomfort, apparent agitation manifested as a compelling desire to move about, but without anxiety,o Treatment of choice is beta blockers - PropranololPatient is on antipsychotic||||||o Within 1-5 dayso Spasm of muscle ofy Tongue (Protrusion, twisting)y Face (grimacing)y Neck (torticollis)y Jaw (trismus)y Rye (oculogyric crisis)y Spine (opisthotonus)y Abnormal postureo Within 4 weeks (1-4 weeks)o Restlessness (inability to sit or stand quiet)o Persistent desire to move abouto Fidgety movementso Rocking movemento Within 1-4 weekso Bradykinesiao Rigidityo Tremero Mask facieso Shuffling gaito Within weekso Marked muscular rigidityo High fevero Autonomic instability| HR & BP, sweating|CPKo Myoglobinemiao Leukocytosiso Disturb consciousnesso Catatonia & stuporo Drug is taken for > 3 monthso Within 4 weeks of withdrawalo Involuntary movement of facial & limb musclesy Chewing, poutingy Puffing of cheeksy Lips lickingy Choreoathetoid movementso After months to yearso Perioral tremer||||||Acute muscular dystoniaAkathisiaParkinsonismNeuroleptic malignant syndromeTardive dyskinesiaPerioral tremer (rabbit syndrome)o Treatment of choice -o TOC - b-blockers central anticholinergico TOC - central - anticholinergicso DOC - Dantrolene